Topical antifungal used in treatment of Taenia carports
1. Tolnaftate
2. Itraconazole
3. Fluconazole
4. Griseofulvin

Correct answer: 1. Tolnaftate

Explanation: (Tolnaftate) (766-KDT 6th)Topical antifungal agents -Tolnaftate, Undecylenic acid, Benzoic acid, Quiniodochlor, Ciclopirox, Olamine, Sodium thiosulfateTolnaftate - effective drug for T. cruris and T. carporis - most cases respond in 1-3 weeks, because of poor penetrability it is less effective in T. pedis and other hyperkeratinized lesions* for the same reason it is ineffective in T. capitis-involving scalp and tinea unguim-involving nails